The urine features present in hematuria of glomerular origin except
1. Acanthocytes
2. Red cell casts
3. Dysmorphic red cells
4. Crenated red cells

Correct answer: 4. Crenated red cells

Explanation: Crenated red cells, traditionally considered an indication of glomerular bleeding, may be encountered in any concentrated urine specimen. Acanthocytes, which are doughnut-shaped red cells with a central hole and membrane blebs attached peripherally, are more specific for an upper-tract bleeding source Ref Harrison20th edition pg 877